What is the treatment of threshold ROP:
1. Laser photocoagulation
2. Slow reduction in oxygen
3. Retinal reattachment
4. Antioxidants

Correct answer: 1. Laser photocoagulation

Explanation: A i.e. Laser photocoagulation